Nicotinic receptors are seen in all except:
1. Neuromuscular junction
2. Autonomic ganglia of autonomic nervous system
3. Bronchial smooth muscle
4. Brain

Correct answer: 3. Bronchial smooth muscle

Explanation: Ans. C: Bronchial Smooth Muscle The nicotinic cholinergic receptors are found in the neuromuscular junctions of somatic muscles; stimulation of these receptors causes muscular contraction. They are also found in the autonomic ganglia of autonomic nervous system and central nervous system Muscarinic receptors are found in: M 1-brain M 2-heart M 3-smooth muscle M 4-smooth muscle, pancreatic acinar and islet tissue